Immediate stiffness postmortem occurs in -
1. Cadaveric rigidity
2. Cadaveric spasm
3. Rigor mortis
4. Algor mortis

Correct answer: 2. Cadaveric spasm

Explanation: Immediate rigor occurs in cadaveric spasm which is contraction of muscles during life which become stiff and rigid immediately after death. Dr. Narayana Reddys Synopsis of Forensic Medicine & Toxicology 27 th edition pg. 81.